Homonymous hemianopia is seen in:
1. Pituitary adenoma
2. Optic nerve damage
3. Post-chiasmic damage
4. All of the above

Correct answer: 3. Post-chiasmic damage

Explanation: Ans. Post-chiasmic damage